Concentrating ability of kidney is impaired if:
1. There is damage to the glomerulus
2. There is excess secretion of ADH
3. There is vigorous activity of Na+-K+-pump
4. Blood flow through the vasa recta is increased substantially

Correct answer: 4. Blood flow through the vasa recta is increased substantially

Explanation: Concentrating ability of kidney is based on two factors: Creating hyperosmolarity of medullary interstitium, Role of ADH (reabsorbs H2O & concentrate urine) To achieve hyperosmolarity in medullary interstitium, by 15% juxta-medullary nephrons, two things come into effect Counter current multiplier mechanism occur at thick ascending loop of Henle. It is permeable to solutes & impermeable to H2O. So, it removes solutes, & interstitium becomes hyperosmolar / hypertonic Counter current exchange mechanism: Hypertonicity is created by counter-current multiplier mechanism. It is maintained by vasa recta by virtue of their sluggish blood flow.